Most common Cardiac anomoly associated with Turner's syndrome
1. Ventricular septal defect
2. Bicuspid Aortic Valve
3. Coarctation of Aorta
4. Pulmonary stenosis

Correct answer: 2. Bicuspid Aortic Valve

Explanation: Most common Cardiac anomoly associated with Turner's syndrome is Bicuspid Aortic Valve > Coarctation of Aorta.